PCR is primarily a
1. DNA degradation technique
2. DNA amplification technique
3. DNA sequencing technique
4. All of these

Correct answer: 2. DNA amplification technique

Explanation: PCR (Polymerase chain reaction) DNA amplification technique. Even a single copy of DNA can be amplified to billion-fold due to exponential amplification.